Diabetes mellitus is best diagnosed by
1. Fasting blood sugar > 100mg/dl and post prandial blood sugar > 140mg/dl
2. Fasting blood sugar > 126mg/dl and post prandial blood sugar > 199mg/dl
3. HbA1C = 5.5%
4. Fasting blood sugar > 70mg/dl

Correct answer: 2. Fasting blood sugar > 126mg/dl and post prandial blood sugar > 199mg/dl

Explanation: The WHO recommendations for the diagnostic criteria for diabetes:Fasting plasma glucose: >/= 126mg/dlor2-hour plasma glucose: > 200mg/dlRef: Park; 23rd ed; Pg 395